Posterior glenohumeral instability can be tested by which of the following tests?
1. Crank Test
2. Fulcrum Test
3. Jerk Test
4. Sulcus Test

Correct answer: 3. Jerk Test

Explanation: Apprehension Test (Crank Test) and Fulcrum Test is used for Anterior shoulder instability Sulcus Test is used for Inferior shoulder instability and Jerk Test is for Posterior shoulder instability